In Fishman’s index, how many sites are there?
1. 4
2. 6
3. 7
4. 8

Correct answer: 2. 6